HVB is associated with all of the following except -
1. Hepatic cancer
2. Chronic hepatitis
3. Hepatic adenoma
4. Cirrhosis

Correct answer: 3. Hepatic adenoma

Explanation: Type B hepatitis is the most widespread and the most important type of viral hepatitis. A quarter of the infected individuals develop serious liver disease including chronic hepatitis,cirrhisis and primary hepatic cancer. REF:ANANTHANARAYAN AND PANIKER'S TEXTBOOK OF MICROBIOLOGY 9TH EDITION PAGE NO-542